Husband/relative of husband cruel behavior towards wife comes under which IPC section:
1. 354
2. 498 A
3. 304 B
4. 304 A

Correct answer: 2. 498 A

Explanation: Ans. B: 498 A Section 498A relates to cruelty against a married woman Section 498A Husband or relative of husband of a woman subjecting her to cruelty. --Whoever, being the husband or the relative of the husband of a woman, subjects such woman to cruelty shall be punished with imprisonment for a term which may extend to three years and shall also be liable to fine. For the purpose of this section, "cruelty" means -- -- Any willful conduct which is of such a nature as is likely to drive the woman to commit suicide or to cause grave injury or danger to life, limb or health (whether mental or physical) of the woman; or - Harassment of the woman where such harassment is with a view to coercing her or any person related to her to meet any unlawful demand for any property or valuable security or is on account of failure by her or any person related to her to meet such demand. - Punishment Imprisonment for 3 years and fine Cognizable if information relating to the commission of the offence is given to an officer in charge of a police station by the person aggrieved by the offence or by any person related to her by blood, marriage or adoption or if there is no such relative, by any public servant belonging to such class or category as may be notified by the State Government in this behalf -- Non-bailable -- Triable by Magistrate of the first class -- Non-compoundable.